Systemic metastasis is commonest in :
1. Ovarian Carcinoma
2. Endometrial Carcinoma
3. Choriocarcinoma
4. Carcinoma cervix

Correct answer: 3. Choriocarcinoma

Explanation: Choriocarcinoma